Normal Intrapleural Pressure is Negative because
1. The chestwall and lungs recoil in opposite directions
2. The surfactant prevents pulmonary collapse
3. Intrapulmonary Pressure is Negative
4. Tranplmonary Pressure is Negative

Correct answer: 1. The chestwall and lungs recoil in opposite directions

Explanation: A i.e. The chest wall and lungs recoil in opposite directions